Inhibin is secreted by:
1. Leydig cells
2. Sertoli cells
3. Interstitial cells
4. Peg cells

Correct answer: 2. Sertoli cells

Explanation: TESTIS Parenchymal compartment Interstitial compartment Sertoli cells Germinal epithelium Leydig cells - Form blood-testis barrier - Nourishes developing sperm - Synthesis of Mullerian inhibiting Factor - Secrete inhibin which inhibits FSH Spermatogenesis -Secrete testosterone -Under LH influence testosterone exerts negative feedback on LH & GnRH